All of the following bases are present in DNA, EXCEPT:
1. Adenine
2. Guanine
3. Uracil
4. Thymine

Correct answer: 3. Uracil

Explanation: DNA contains only four different bases: adenine (A), guanine (G), thymine (T), and cytosine (C). DNA exists as a double helix in which A is always paired with T, and G is always paired with C. RNA contains the ribonucleotides of adenine, guanine, and cytosine, it does not possess thymine. Instead of thymine, RNA contains the ribonucleotide of uracil. Ref: Weil P. (2011). Chapter 34. Nucleic Acid Structure & Function. In D.A. Bender, K.M. Botham, P.A. Weil, P.J. Kennelly, R.K. Murray, V.W. Rodwell (Eds), Harper's Illustrated Biochemistry, 29e.